Injury to head of fibula may involve following except:
1. Anterior tibial nerve
2. Common peroneal nerve
3. Tibial nerve
4. Superficial peroneal nerve

Correct answer: 3. Tibial nerve

Explanation: C i.e. Tibial nerve